In classifying a malocclusion (Class I, II, & III), the premature Loss of a primary molar adjuvant observation to reinforce initial evaluation is by
1. Molar relation
2. Canine relation
3. incisor relation
4. Midline relation

Correct answer: 2. Canine relation